Longest life span among following -
1. RBC
2. Plalalets
3. Neutrophils
4. Macrophages

Correct answer: 4. Macrophages

Explanation: Ans. is 'd' i.e., Macrophages Life span of blood ceilsRBC: 120 daysPlatelets : 7-12 daysMonocytes (in circulation) : 1-3 daysMacrophages (in tissues) : Months-yearsNeutrophils (in circulation) : 4-8 hrsNeutrophils (in tissue) : 2-5 daysShort lived lymphocytes : 2 weeksLong lived lymphocytes : Upto 3 years